Purest water in nature is
1. Rain water
2. River water
3. Deep well
4. Impounding reservoirs

Correct answer: 1. Rain water

Explanation: Rain : Is the prime source of all water and is the ‘purest form of water in nature.’
Chemically, it is very soft water : contains traces (0.0005%) of solids Gibraltar depends on rain water as a source of supply.